Segmented RNA is found in -
1. Influenza virus
2. Rabies virus
3. Herpes virus
4. Molluscum contagiosum

Correct answer: 1. Influenza virus

Explanation: The negative sense single stranded RNA genome is segmented and exist ad 8 pieces REF:ANANTHANARYANAN TEXT BOOK OF MICROBIOLOGY 9EDITION PGNO.497